Which of the following is attached to the head of the fibula?
1. Lateral meniscus
2. Popliteus tendon
3. Fibular collateral ligament
4. Posterior cruciate ligament

Correct answer: 3. Fibular collateral ligament

Explanation: Fibular collateral ligament and biceps femoris attaches to the styloid process on head of fibula.